Cerebral metabolism and O2 consumption are increased by –
1. Propofol
2. Ketamine
3. Atracurium
4. Fentanyl

Correct answer: 2. Ketamine

Explanation: Cerebral blood flow, metabolism, oxygen consumption and ICT all are increased by ketamine → ketamine is contraindicated in raised ICT.